Which of the following is the most common CNS tumor associated with HIV infection?
1. Lymphoma
2. Glioma
3. Astrocytoma
4. Medulloblastoma

Correct answer: 1. Lymphoma

Explanation: Answer is A (Lymphoma): The most common neoplasm in the central Nervous System (CNS malignancy) in HIV positive patients is primary CNS Lymphoma. 'Primary CNS Lymphoma is the most common neoplasm of the CNS in HIV positive patients'. - 'Radiology of AIDS' (Springer 2001)/69 Primary CNS Lymphoma is the most common CNS opportunistic malignancy in patients with HIV infection'. Spiral Manual of Allergy & Immunology 4th/439